A female child is brought with ambiguous genitalia and hyperpigmentation of skin. she has increased BP and hypokalemia. which of the following enzymes is deficient in this child?
1. 21 hydroxylase
2. 11  β hydroxylase
3. 17 α hydroxylase
4. 17, 20 Lyase

Correct answer: 2. 11  β hydroxylase

Explanation: 21 hydoxylase deficiency
11  β hydroxylase deficiency


Virilisation of females
Virilisation of females


Precocious puberty in male
Precocious puberty in male


Salt losing
Salt retention,hypertension 


hyperkalemia
Hyperkalemia